The space maintainer which is contraindicated in a child
suffering from sub acute bacterial endocarditis is
1. Removable
2. Crown and loop
3. Band and Loop
4. Distal shoe

Correct answer: 4. Distal shoe